An obese woman of 49 years of age, affluent woman with diabetes and hypertension, complains of heavy menstrual bleeding with delayed and irregular cycles. Which of these is the most important cause that should be ruled out in this patient?
1. Cancer cervix
2. Ca endometrium
3. Fibroid uterus
4. Polycystic ovaries

Correct answer: 2. Ca endometrium

Explanation: Risk factors for ca endometrium are Nulliparity Late menopause Obesity Diabetes mellitus Unopposed estrogen therapy Tamoxifen therapy Atypical endometrial hyperplasia Lynch II syndrome 20 Since the patient here is 49 yrs, obese, and diabetic, endometrial cancer must be ruled out here.